Drug of choice in Laryngeal stenosis is -
1. Cyclophosphamide
2. Doxorubicin
3. Adriamycin
4. Mitomycin C

Correct answer: 4. Mitomycin C